The condition involved with an unerupted tooth or impacted tooth is
1. Dentigerous cyst
2. Mural ameloblastoma
3. Adenomatoid odontogenic tumor
4. All of the above

Correct answer: 4. All of the above